All are congential myopathies except-
1. Central Core myopathy
2. Centronuclearmyopathy
3. Z band myopathy
4. Nemalin myopathy

Correct answer: 3. Z band myopathy